The first biologic agent approved by US FDA for the treatment of psoriasis is:
1. Alefacept
2. Efalizumab
3. Etanercept
4. Infliximab

Correct answer: 1. Alefacept

Explanation: In 2003, Alefacept became the first biological agent to be licensed for the treatment of severe psoriasis. Alefacept is a T-cell inhibitor - binds to CD-2 Infliximab, Etanercept- are TNF-a inhibitor Efalizumab is a T-cell inhibitor binds to CD-11